Phossy jaw is seen in chronic
1. Sulphur poisoning
2. Chlorine poisoning
3. Fluirine poisoning
4. Phosphorus poisoning

Correct answer: 4. Phosphorus poisoning

Explanation: Phossy jaw It is a type of osteomylitis of the jaws observed in chronic phosphorus poisoning. Frequent inhalation of fumes for many years may cause necrosis of the lower jaw in the region of a decayed tooth. It is common among workers, in phosphorus industries, who are exposed to phosphorus fumes Ref: FORENSIC MEDICINE AND TOXICOLOGY Dr PC IGNATIUS THIRD EDITION PAGE 432